Which of the following is not a typical feature of Meniere's disease
1. Sensorineural deafness
2. Pulsatile tinnitus
3. Vertigo
4. Fluctuating deafness

Correct answer: 2. Pulsatile tinnitus

Explanation: In otosclerosis tinnitus is a low-pitched roaring type and not pulsatile type. Sometimes, it has a hissing character. Ref: Diseases of EAR, NOSE and THROAT by PL Dhingra; 7th Edition; page no.112